Which of the following has the maximum faciolingual diameter of the crown:
1. Deciduous maxillary 2nd molar
2. Deciduous maxillary 1st molar
3. Deciduous mandibular 2nd molar
4. Deciduous mandibular 1st molar

Correct answer: 1. Deciduous maxillary 2nd molar